Epinephrine is formed from?
1. Methionone
2. Tyrosine
3. Valine
4. Glycine

Correct answer: 2. Tyrosine

Explanation: Tyrosine is the precursor for the synthesis of catecholamines namely dopamine, epinephrine and norepinephrine.